All are included in sydney revision of sapporo criteria for Antiphospholipid antibody syndrome:
1. Vascular thrombosis
2. Livedo reticularis
3. 3 or more unexplained spontaneous abortions
4. Lupus anticoagulant in plasma

Correct answer: 2. Livedo reticularis

Explanation: Livedo reticularis is not included in the diagnostic criteria for Antiphospholipid antibody syndrome. Ref: Harrisons principles of internal medicine, 18th edition: Page 2737